Not a component of JVP?
1. A wave bigger than V wave
2. C wave is called as Dicrotic notch
3. X wave is seen ventricular systole
4. Y descent in ventricular diastole

Correct answer: 2. C wave is called as Dicrotic notch

Explanation: Ans. B C wave is called as dicrotic notchRef: Ganong, 25th ed. pg. 542A waveAtrial systoleC waveBulge of tricuspid valve into right atrium during isovolumetric contractionX descentAtrial relaxationV waveBeginning of isovolumetric relaxationV descentVentricular relaxationDicrotic Notch is seen in Pulse recording.